All of the following statements are true regarding Epidural haeniatoma, EXCEPT
1. Usually caused by disruption of middle meningeal artery
2. Hypodense shadow in CT scan
3. Lenticular shaped haemorrhage
4. Occurs following fracture of the temporal bone

Correct answer: 2. Hypodense shadow in CT scan

Explanation: (B) Hypodense shadow in CT scan Hematoma typeEPIDURALSUBDURALLocation* Between the skull and the duraBetween the dura & the arachnoidInvolved vessel* Temperoparietal locus (most likely) - Middle meningeal artery* Frontal locus - anterior ethmoidal artery* Occipital locus - transverse or sigmoid sinuses* Vertex locus - superior sagittal sinusBridging veinsSymptoms* Lucid interval followed by unconsciousnessGradually increasing headache & confusionCT appearance* Biconvex lensCrescent-shaped